Psychotic patient on antipsychotic drugs develops torticollis within 4 days of therapy. what is the treatment?
1. Central anticholinergic
2. Peripheral anticholinergic
3. Beta blocker
4. Dantrolene

Correct answer: 1. Central anticholinergic

Explanation: Ans. A. Central anticholinergicThis is a case of drug induced muscular dystonia, which is treated by central anticholinergic.Drug of choice for antipsychotic induced extrapyramidal side effectsAcute muscular dystonia -+ Central anticholinergicAkathisia - Beta blockerParkinsonism - Central anticholinergic.Neuroleptic malignant syndrome - DantroleneTardive dyskinesia - Terabenazine (TBZ)